Tensor fascia lata is supplied by
1. Nerve to quadratus femoris
2. Superior gluteal nerve
3. Inferior gluteal nerve
4. Sciatic nerve

Correct answer: 2. Superior gluteal nerve

Explanation: Of all the nerves, that passes through greater sciatic foramen, superior gluteal N is only one that passes above piriformis muscle. After entering gluteal region. Nerve loops up over inferior margin of gluteus minimus & travels anteriorly & laterally in plane b/w gluteus medius & minimus muscle It supplies gluteus minimus - abductors at hip joint gluteus medius - medially rotates thigh Tensor fasciae latae -prevent pelvis drop on opposite swing side during walking. Nerve to quadratus femoris : Enters gluteal region through greater sciatic foramen inferior to piriformis muscle & deep to sciatic nerve. Lies anterior to plane of deep muscles. It descends along the ischium deep to tendon of obturator internus muscle & associated gemellus muscle to penetrate & innervate quadratus femoris a Supplies small branch to gemellus anterior. * Inferior gluteal nerve : Enters gluteal region through sciatic foramen inferior to piriformis muscle & along the posterior surface of sciatic nerve Penetrate & supplies gluteus maximus muscle. Sciatic nerve : Largest nerve in body & innervates all muscles in posterior compartment of thigh that flex the knee & all muscles that move ankle & foot Innervates large area of skin in lower limb.